Glucose may be synthesised from :
1. Glycerol
2. Adenine
3. Guanine
4. Palmitic acid

Correct answer: 1. Glycerol

Explanation: A i.e. Glycerol